Garden -I fractures are also known as -
1. Complete fracture without displacement
2. Complete fracture with minimal (partial) displacement
3. Complete fracture with full displacement
4. Valgus impaction fractures

Correct answer: 4. Valgus impaction fractures

Explanation: Stage 1 : The fracture is incomplete, with head tilted in postero-lateral direction, i.e. into valgus, therefore is known as valgus (abduction) impacted fracture.
Stage 2 : Complete fracture but undisplaced.
Stage 3 : Complete fracture with partial displacement.
Stage 4 : Complete fracture with total displacement.